A 10 years old boy is so restless all the time. In the school, the rest of the class is unable to concentrate because of him. He is hardly ever in his seat be it at home or school. He has difficulty in playing quietly. He does not listen to his mother at all.T he most likely diagnosis is?
1. Attention-deficit hyperactivity disorder
2. Conduct disorder
3. Depressive disorder
4. Schizophrenia

Correct answer: 1. Attention-deficit hyperactivity disorder

Explanation: • This child has: (i) Restlessness, (ii) Interrupting others (the class is unable to concentrate), (iii) Difficulty in playing quietly, (iv) Often leaves the seat and roams around.
• All are features of ADHD.
Attention-deficit hyperactivity disorder
• ADHD is one of the most common psychiatric problems in the school-age population. It usually arises in the first 5 years of life and is three times more common in boys than in girls.
• ADHD is characterized by age-inappropriate hyperactivity, impulsiveness and inattention. Hyperactivity is usually the first symptom noticed.
Diagnostic criteria of ADHD